A 70 year old patient presents with dizziness and headache followed by left sided hemiparesis with right eye dilatation and ptosis. Most probable blood vessel damaged is:-
1. Middle cerebral artery
2. Anterior communicating artery
3. Posterior cerebral artery
4. Basilar artery

Correct answer: 3. Posterior cerebral artery

Explanation: Ipsilateral 3 CN palsy present along with ptosis & C/L Hemiparesis s/o Weber syndrome Cause: Lesion in Midbrain due to occlusion of P1 PCA Hemiplegia can occur due to occlusion in: MCA P1 PCA Basilar artery ant spinal artery